Fetal affection by Rh antibody are all except:
1. Nonimmune hydrops fetalis
2. Icterus gravis neonatorum
3. Congenital anaemia of the newborn
4. Fetal death

Correct answer: 1. Nonimmune hydrops fetalis

Explanation: Immune hydrops fetalis and not nonimmune hydrops fetalis is a complication of Rh negative pregnancy.